Sympathetic ophthalmitis is characterized by -
1. Lisch nodules
2. Busacca nodules
3. Koepee nodules
4. Dalen Fuch's nodules

Correct answer: 4. Dalen Fuch's nodules

Explanation: Dalen-Fuch's nodules are formed due to proliferation of the pigment epithelium associated with invasion by the lymphocytes and epitheloid cells - Ref : A.K.Khurana 6 th edition ; Page No : 437